In Budd Chiari syndrome, the occlusion is at the
1. IVC
2. Renal Vein
3. Hepatic vein
4. Splenic vein

Correct answer: 3. Hepatic vein

Explanation: Budd chiari syndrome occurs when venous drainage of the liver is occluded by hepatic venous thrombosis or obstruction from a venous web Reference Bailey and love's 24 the edition page no.1074